Denver shunt used in?
1. Ascites
2. Dialysis
3. Raised ICP
4. Raised IOP

Correct answer: 1. Ascites

Explanation: Denver shunt is a one way valve peritoneo-venous shunt done in order to drain ascitic fluid from peritoneal cavity to internal jugular vein with additional facility of having a chamber to evacuate the debris by digital pressure. Reference : page 626 SRB's manual of surgery 5th edition